Anti infective vitamin is –
1. Vitamin B6
2. Vitamin A
3. Vitamin D
4. Vitamin C

Correct answer: 2. Vitamin A

Explanation: Functions of Vit A

Vitamin A is essential for -
I.Normal vision


Retinol is necessory for functioning of retina.
Regeneration of rhodopsin during dark light is vit A dependent --> vit A deficiency causes defective dark adaptation.

2. Anti-infective

Vitamin A is necessary for integrity of epithelial tissues that resist invasion by pathogens.
Vitamin A has some role in immune response.

3. Anticancer effect

Beta-carotene has antioxidant property —> by virtue of this action it reduces the incidence of lung, breast, oral, esophageal and bladder cancers.

4. Skeletal - growth

Vitamin A supports skeletal growth.